Which of the following findings can be seen during clinical examination of a pregnant female with heart disease compared with normal pregnancy?
1. Pedal edema
2. Engorged neck veins
3. Dyspnea
4. Exercise intolerance

Correct answer: 2. Engorged neck veins

Explanation: In normal pregnancy, functional systolic heart murmurs are common; respiratory effort is accentuated and at times suggests dyspnea; edema in the lower extremities after mid pregnancy is common; and fatigue and exercise intolerance develop in most women. Some systolic flow murmurs may be loud. Clinical indicators of heart disease during pregnancy: Symptoms: Progressive dyspnea or orthopnea Nocturnal cough Hemoptysis Syncope Chest pain Clinical Findings Cyanosis Clubbing of fingers Persistent neck vein distension Systolic murmur grade 3/6 or greater Diastolic murmur Cardiomegaly Persistent arrhythmia Persistent split second sound Criteria for pulmonary hypertension Ref: Cunningham F.G., Leveno K.J., Bloom S.L., Hauth J.C., Rouse D.J., Spong C.Y. (2010). Chapter 44. Cardiovascular Disease. In F.G. Cunningham, K.J. Leveno, S.L. Bloom, J.C. Hauth, D.J. Rouse, C.Y. Spong (Eds), Williams Obstetrics, 23e.